Double stranded RNA exists in:
1. A-DNA like conformation
2. B-DNA like conformation
3. Z-DNA like conformation
4. None of these

Correct answer: 1. A-DNA like conformation

Explanation: Double stranded RNA exists in A- DNA like conformation Usually RNA is single stranded, DNA is double stranded. But in few species, double stranded RNA is found e.g. Rotavirus. B-DNA A-DNA Z-DNA Base pairs/turn 10 11 12 Right/left handed Right Right Left with zigzag sugar-phosphate backbone Function Major DNA in cells Dehydrated DNA or in DNA-RNA regions or in Double stranded RNA Regulation of gene expression, particularly in GC sequence (alternating Purine-Pyrimidine)